True statement regarding direct inguinal hernia is?
1. MC Type in women
2. Medial to inferior epigastric artery
3. Often descends upto the bottom of scrotum
4. Open the sac while reducing at surgery

Correct answer: 2. Medial to inferior epigastric artery

Explanation: Ref: Bailey and Love's Short Practice of Surgery 25th EditionExplanation: (Sec the following figure and tablet